The matrix retainer where in anatomy adaptation is possible without wedges is:
1. Tofflemire
2. Steele's Siqueland
3. Ivory no. 1
4. Ivory no. 8

Correct answer: 2. Steele's Siqueland